An 8–month–old female child presented to emergency with a heart rate of 220/minute and features of congestive heart failure. Her heart rate comes down to normal after administering intravenous adenosine. What is the most likely diagnosis ?
1. Atrial fibrillation
2. Atrial flutter
3. Paroxysmal supraventricular tachycardia
4. Ventricular tachycardia

Correct answer: 3. Paroxysmal supraventricular tachycardia

Explanation: Adenosine is the DOS for PSVT.